Apnoea is defined as:
1. Stoppage of heart beat
2. Cessation of respiration
3. Irregular respiration
4. RR

Correct answer: 2. Cessation of respiration

Explanation: B i.e. Cessation of respirationApnea is cessation or stoppage of respirationQAbnormal Respiratory PatternCheyne- stokes respirationRhythmic alteration of apnea and hyperapnea due to anoxia. (c/b periods of waxing and- Opium poisoningwaning tidal volume separated by period of apnea). It is a type of periodic breathing.Uremia - CCF - Hypoxia Biot's respirationType of periodic breathing, that consists of one or more large tidal volumes separated by- Meningitis ( l'ICT)periods of apnea i.e. irregularly irregular respirationKussumal's respirationRapid & deep breathing (Air hunger)- Diabetic ketoacidosis - Uremia Ondine's curseLoss of automatic respiratory control with destruction of involuntary neural pathway.